The triad of alopecia, neuropathy and diarrhoea results from
1. Thallium
2. Mercury
3. Dathura
4. Opium

Correct answer: 1. Thallium

Explanation: Thallium Poisoning * Ideal homicidal poison features * Features resemble natural disease, Gullain Barre syndrome * Mees lines present * Triad of alopecia, neuropathy and diarrhea * Pseudomotor neuropathy